After digestion by restriction endonucleases DNA strands can be joined again by which of the following enzymes?
1. DNA polymerase
2. DNA ligase
3. DNA topoisomerase
4. DNA gyrase

Correct answer: 2. DNA ligase

Explanation: DNA is cleaved into fragments by restriction endonucleases. After the fragments of DNA have base paired, the ends are covalently joined by the action of DNA ligase. Restriction enzymes in conjunction with DNA ligase can produce vector containing recombinant or hybrid or chimeric DNA. Ref: Essentials of Biochemistry By Naik, 2012, Page 335.